Drugs prescribed by registered medical practitioners mostly fall under which class of drugs?
1. Schedule X
2. Schedule S
3. Schedule H
4. Schedule P

Correct answer: 3. Schedule H

Explanation: Ans. c. Schedule H (Ref: Drugs and Cosmetics Rules, 1945)Schedule II is a class of prescription drugs in India appearing as an appendix to the Drugs and Cosmetics Rules, 1945 introduced in 1945. These are drugs, which cannot be purchased over the counter without the prescription of a qualified doctor.The Drugs and Cosmetics Rules, 1945The Drugs and Cosmetics Rules, 1945 contains provisions for classification of drugs under given schedules and there are guidelines for the storage, sale, display and prescription of each schedule.The Rule 67 details the conditions of licenses. The Rule 97 contains the labeling regulations.Important Schedules of Drugs and Cosmetics Rules, 1945ScheduleDeals withSchedule C & C1* Biological & special products. Examples: Serums, Adrenaline, etc.Schedule E* Various poisonsSchedule F & F1* Bacterial vaccinesQSchedule G* Drugs to be labeled with the word "Caution"-it is dangerous to take this prescription except under medical supervisionQSchedule H* Drugs that must be sold by retail only when a prescription by registered medical practitioner is produced* 'Schedule H drug Warning: To be sold by retail on the prescription of a Registered Medical Practitioner only.'QSchedule J* List of various diseases & conditions that cannot be treated under any drug currently in market.* No drug may legally claim to treat these diseasesQSchedule M* Good manufacturing practicesSchedule P* Expiry period of drug formulationSchedule T* Regulations & requirements for manufacture of Ayurvedic, Siddha & Unani productsSchedule W* Drugs that shall be marketed under generic names onlySchedule X* Psychotropic drugs requiring special license for manufacture & saleSchedule Y* Requirement & guidelines for clinical trials, import & manufacture of new drugs